Which of the following is a Prerequisite for the Chi-square test to compare -
1. Both sample should be mutually exclusive
2. Both sample need not be mutually exclusive
3. Normal distribution
4. All of the above

Correct answer: 1. Both sample should be mutually exclusive